Tuberculate spores are features of?
1. Candidia
2. Histoplasma
3. Coccidiodomyces
4. Cryptococcus

Correct answer: 2. Histoplasma

Explanation: Laboratory diagnosis of Histoplasmosis: - 1. Demonstration of oval yeast cells within macrophages in bone marrow aspirates and in tissue biopsy specimens. Biopsy of oropharyngeal ulcers is usually diagnostic. - 2. Culture of sputum and blood on SDA at 25degC shows hyphae with thick Tuberculoid macroconidia (characteristic), thin microconidia and at 37degC shows yeasts. Coccidiodomyces - fragmented hyphae consisting barrel shaped ahrospore are seen Cryptococcus - on gram staining microscopy ,budding yeast is seen Candida - gram positive oval budding yeast cells with pseudohyphae